Damage to which of the following nerve result in winging of scapula?
1. Dorsal scapular nerve
2. Long thoracic nerve
3. Suprascapular nerve
4. Nerve to the subclavius

Correct answer: 2. Long thoracic nerve

Explanation: Long thoracic nerve branches from the C5-C7 roots. It descends posteriorly to the roots of the plexus and the axillary artery and along the lateral surface of the serratus anterior muscle, with the lateral thoracic artery. It is one of the few nerves found superficial to the serratus anterior muscle. Damage to this nerve cause winging of the scapula.